A 5-year-old boy presents with Severe ptosis associated with poor levator function. Which of the following will be the treatment?
1. Frontalis Suspension surgery
2. Levator resection
3. Mullerectomy
4. Fasnella servat operation

Correct answer: 1. Frontalis Suspension surgery

Explanation: Ans. (a) Frontalis Suspension surgery(Ref: Kanski 8/e, p. 45; Parsons 22/e, p. 464; Yanoff 4/e, p. 1273)Brow (frontalis) suspension is used for severe ptosis (> 4 mm) with very poor levator function (< 4 mm) in simple congenital ptosis or occurring due to 3rd nerve palsy, blepharophimosis syndrome and following unsatisfactory previous LPS resection. The tarsal plate is suspended from the frontalis muscle using a sling made of either fascia lata or silicone/prolene